Most common cause of GI bleed is -
1. Duodenal ulcer
2. CA stomach
3. Oesophageal varices
4. Erosive gastritis

Correct answer: 1. Duodenal ulcer

Explanation: Ans. is 'a' i.e., Duodenal ulcer o Peptic ulcer disease is the most common cause of severe UGIB, accounting for upto 50% of cases.